All of the following are X-linked except:
1. G-6 PD deficiency
2. Hemophilia -A
3. Von Willebrandt's disease
4. Fragile X syndrome

Correct answer: 3. Von Willebrandt's disease

Explanation: Answer is C (Von Willebrand disease) : Von Willebrand disease is inherited as autosomal dominant disorder. It is not X-linked.